Presently, classification of psychiatric illness is done by:
1. DSM-V
2. ICD-10
3. Both of the above
4. None of the above

Correct answer: 3. Both of the above

Explanation: Ans. C: Both of the aboveThe modern era in the classification of mental diseases began towards the end of the 18th century during the French Revolution with the concepts and humane practices of figures such as Philippe Pinel (1745-1826).William Cullen (1710-90) tried to subsume under the heading of 'neurosis' all forms of mental disorder including such conditions as tetanus, epilepsy, vesania, and a rough description of psychosis, but his concepts soon proved over-inclusive. The term 'psychosis' was first formulated by Ernst von Feuchtersleben (1806-49) in his Principles of Medical Psychology. At present, there are two major classifications in Psychiatry, namely ICD-10 (1992) and DSM-V(2013)